True about Lacerated wound is?
1. Clean cut wound
2. Regular margin
3. Irregular margin
4. Tapered margins

Correct answer: 3. Irregular margin

Explanation: ANSWER: (C) Irregular marginREF: Textbook of Forensic Medicine and Toxicology by Nagesh Kumar Rao Page 182Features of laceration:* Margins-irregular, with pieces of tissue attached, called as tissue tags or bridges* Bruising seen around the margins* Hair bulbs crushed* Depth of wound is variable with foreign bodies* Laceration of viscera produces fatal bleeding* In skin laceration one of the margin overhangs the other giving sign of direction of the force involved* On healing produces permanent scar